In the testis, haploid number of chromosomes are present in
1. Spermatogonia - Type A
2. Primary spermatocyte
3. Spermatids
4. Spermatogonia - Type B

Correct answer: 3. Spermatids

Explanation: Inderbir Singh's Human embryology; Tenth edition; Pg 20 Primary spermatocyte undergoes meiotic division to form secondary spermatocytes Each secondary spermatocyte divides to form two spermatids by a mitotic division which also contains a haploid number of chromosomes